1st carbon of pentose sugar of nucleic acid joins
1. N-9 of pyrimidine
2. N-1 of pyrimidine
3. N-1 of purine
4. N-8 of purine

Correct answer: 2. N-1 of pyrimidine

Explanation: The sugars and phosphates in nucleic acids are connected to each other in an alternating chain (sugar-phosphate backbone) through phosphodiester linkages. In conventional nomenclature, the carbons to which the phosphate groups attach are the 3'-end and the 5'-end carbons of the sugar. This gives nucleic acids directionality, and the ends of nucleic acid molecules are referred to as 5'-end and 3'-end. The nucleobases are joined to the sugars an N-glycosidic linkage involving a nucleobase ring nitrogen (N-1 for pyrimidines and N-9 for purines) and the 1' carbon of the pentose sugar ring.Ref: Harper's Biochemistry; 30th edition